Lower border of pharynx is the level of:
1. C2
2. C3
3. C4
4. C6

Correct answer: 4. C6

Explanation: Pharynx, the upper portion of gut tube, is funnel-shaped fibromuscular tube that extends from the base of the skull to the inferior border of the cricoid cartilage at the level of C6 vertebra. 
It continues inferiorly as the esophagus.